Role of molecular oxygen in ETC is
1. Transfer of reducing equivalent to CoQ
2. Transfer of reducing equivalent from cytosol to mitochondria
3. To act as electron acceptor
4. Generation of ATP

Correct answer: 3. To act as electron acceptor

Explanation: As it turns out, the reason you need oxygen is so your cells can use this molecule during oxidative phosphorylation, the final stage of cellular respiration. ... Oxygen sits at the end of the electron transport chain, where it accepts electrons and picks up protons to form water